True about Propagated epidemic is following Except
1. Secondary waves are absent
2. Spreads from person to person
3. The speed of spread depends upon Herd immunity
4. Shows gradual rise and fall over long period of me

Correct answer: 1. Secondary waves are absent

Explanation: A propagated epidemic is most often infectious origin and results from person to person transmission of an infectious agent.The e[idemic usually shows a gradual rise and tails off over a much longer period of time.The speed of spread depends upon herd immunity, opportunities for contact and secondary atttack rate.Park 23e pg: 65